Products of complete hydrolysis of cardiolipin are:
1. 3 glycerol, 4 fatty acids , 2 phosphates
2. 3 glycerol, 4 fatty acids , 1 phosphates
3. 3 glycerol, 3 fatty acids , 2 phosphates
4. 5 glycerol, 4 fatty acids , 2 phosphates

Correct answer: 1. 3 glycerol, 4 fatty acids , 2 phosphates

Explanation: 3 glycerol, 4 fatty acids , 2 phosphates Cardiolipin is a complex phospholipid, which can be antigenic. The structure is glycerol attached to two phosphatidic acids. Each phosphatidic acid contains one glycerol, 2 FA and one phosphate. So in total 3 glycerol, 4 fatty acids, 2 phosphates are present in cardiolipin.